According to federation dental lower left canine is designated as ?
1. 32
2. 33
3. 42
4. 43

Correct answer: 2. 33

Explanation: Ans. is 'b' i.e., 33